Gun powder residues can be detec-ted by:
1. Benzidine test
2. Barberios test
3. Dermal nitrate test
4. Hydrostatic test

Correct answer: 3. Dermal nitrate test

Explanation: Dermal nitrate test